Physiological changes of pregnancy include :
a. Insulin levels increase
b. Increased BMR
c. Hypothyroidism
d. GH decreases
e. Blood volume decreases
1. ab
2. ac
3. bc
4. db

Correct answer: 1. ab

Explanation: Hormones during pregnancy